Peripheral neuropathy as a side effect is caused by which of the following anti cancer drugs ?
1. Vincristine
2. Cyclophosphamide
3. Etoposide
4. Irinotecan

Correct answer: 1. Vincristine

Explanation: Ans. is 'a' i.e., Vincristine Vincristine (Oncovin) Alkaloid derived from Vinca rosae. Vincristine belongs to the plant alkaloid group of anticancer. Rapidly acting anticancer This class of drugs are also known as spindle poison. These drugs bind to microtubular protein (tubulin) The drug-tubulin complex then attaches itself to microtubules and causes depolymerization of microtubules. Depolymerization of microtubule causes Mitotic arrest at metaphase Dissolution of mitotic spindle Interference with chromosome segregation Useful for inducing remission in childhood ALL (not useful in maintenance therapy) It can also be used for pediatric solid tumors (Wilm's tumor, neuroblastoma, rhabdomyosarcoma) and lymphomas. Prominent adverse effects? Peripheral neuropathy Alopecia SIADH Vincristine is a marrow sparing drug but some times it may cause myelosuppression which is very less than vinblastin. Indications of vincristine? Hodgkins disease Wilms's tumour Carcinoma lung Non hodgkin:s. disease Ewing's sarcoma Myeloma Vinblastine and vinorelbine are other vinca alkaloids. o Vinblastine's most important clinical use is the curative therapy of metastatic testicular tumor. o Vinblastine can cause bone marrow suppression (in contrast with vincristin), alopecia, and nausea & vomiting. o As they arrest mitosis, all vinca alkaloids act in M phase.